The Y shaped central developmental groove is most likely found on which of the following premolars?
1. Maxillary first.
2. Mandibular first.
3. Maxillary second.
4. Mandibular second.

Correct answer: 4. Mandibular second.

Explanation: Y shaped central developmental groove is found on the mandibular second premolar.